Sodium nitrite is used as
1. Antiplaque agent
2. Antirust agent
3. Desensitising agent
4. Bleaching agent

Correct answer: 2. Antirust agent